Which is the following is orally active direct Xa inhibitor?
1. Rivaroxaban
2. Agrataban
3. Dabigatran
4. Bilverudin

Correct answer: 1. Rivaroxaban

Explanation: Ans. a. RivaroxabanRivaroxaban, apixaban & edoxaban are factor Xa inhibitors.Dabigatran etexilate is direct thrombin inhibitor.